Extreme widening of the periodontal ligament as seen in the radiograph is the characteristic feature of:
1. Scleroderma
2. Paget's disease
3. Pemphigus
4. All of the above

Correct answer: 1. Scleroderma

Explanation: Extreme widening of the periodontal ligament, two to four times the normal thickness has been reported originally by Stafne and Austin as characteristic of scleroderma.